A mother brought her 7 year old daughter complaining of breast development. Thelarche occurs normally at?
1. 7-11 years
2. 8-13 years
3. 11-13 years
4. 12-14 years

Correct answer: 2. 8-13 years

Explanation: Breast development, termed thelarche, begins in most girls between the ages of 8 and 13 years. Thelarche prior to age 8 or lack of breast development by age 13 is considered abnormal and should be investigated. Ref: Hoffman B.L., Schorge J.O., Schaffer J.I., Halvorson L.M., Bradshaw K.D., Cunningham F.G., Calver L.E. (2012). Chapter 14. Pediatric Gynecology. In B.L. Hoffman, J.O. Schorge, J.I. Schaffer, L.M. Halvorson, K.D. Bradshaw, F.G. Cunningham, L.E. Calver (Eds), Williams Gynecology, 2e.